Muscle attached to anterior surface of greater trochanter
1. Gluteus Maximus
2. Gluteus Medius
3. Gluteus Minimus
4. Piriformis

Correct answer: 3. Gluteus Minimus

Explanation: Gluteus minimus is most anterior in attachment & Gluteus Maximus is most posterior. Muscle Insertion Gluteus maximus Gluteal tuberosity (1/4), iliotibial tract (3/4) Gluteus Medius Greater trochanter of femur (Lateral surface) Gluteus minimus Greater trochanter of femur (anterior surface) Piriformis Apex of greater trochanter of femur